The following drug is not helpful in the treatment of ectopic pregnancy:
1. Methotrexate
2. Misoprostol
3. Actinomycin-D
4. RU486

Correct answer: 2. Misoprostol

Explanation: Misoprostol (PGE1) has been used for cervical ripening which is used for induction of labour. It doesn't have any role in management of ectopic pregnancy. Ref:Text Book of Obstetrics By Dutta, 6th Edition, Pages 175, 189, 505